Entomology of cadaver helps in finding :
1. Time of death
2. Mode of death
3. Manner of death
4. Identify the disease

Correct answer: 1. Time of death

Explanation: A i.e. Time of death